In which type of fracture, the tuber-joint angle is reduced to about half
1. Crush fracture of calcaneum
2. Fracture neck of humerus
3. Dislocation of shoulder
4. Spilt fracture of calcaneum

Correct answer: 1. Crush fracture of calcaneum

Explanation: A i.e. Crush fracture of calcaneum